Peaud' orange is seen in-
a) Carcinoma breast
b) Fibroadenoma
c) Chronic abscess
d) Mondor's disease
1. adb
2. ac
3. abc
4. cd

Correct answer: 2. ac